the distention media used in diagnostic hysteroscopy with bipolar courtesy is
1. CO2
2. NS
3. Dextran 70
4. Glycine

Correct answer: 2. NS

Explanation: ref : gynecology shaw